The cells seen after 72 hours in the infarcted area in MI are -
1. Neutrophils
2. Lymphocytes
3. Macrophages
4. Monocytes

Correct answer: 3. Macrophages

Explanation: Acute inflammatory> reaction with a predominance of Neutrophils is seen up 2-3 days.
After 3 days (i.e. after 72 hours Macrophages become the predominant cell type and become involved in the removal of necrotic debris.

       In myocardial infarction.
Neutrophils appear at → 12-24 hrs.
Granulation tissue appear at → 6-10 days
The beginning of fibrosis and organization of granulation tissue → 7-14 days
Development of fibrous scar (hearing) → 2-6 weeks